Toll like receptors, recognize bacterial products and stimulates immune response by,
1. Perforin and granzyme mediated apoptosis
2. Transcriptions of nuclear factor mediated by NFKP which recruits cytokines
3. FADD ligand apoptosis
4. Cyclin

Correct answer: 2. Transcriptions of nuclear factor mediated by NFKP which recruits cytokines

Explanation: The Toll-like receptors are membrane proteins that recognize a variety of microbe-derived molecules and stimulate innate immune responses against the microbes.
The Toll-like receptors are expressed on many different cell types that participate in innate immune responses including macrophages, dendritic cells, neutrophils, NK cells, mucosal epithelial cells and endothelial cells.
Signalling by Toll like receptors results in the activation of transcription factors. notably NF-K0 and AP-L
The genes that are expressed in response to TLR signalling encode proteins important in many different components of innate immune response.
These include
Inflammatory cytokines (TNF, IL-1, IL-2)
Endothelial adhesion molecules (E-selection) and
Proteins involved in microbial killing mechanisms.